Inherited coagulation disorder -
1. Protein C deficiency
2. Protein S deficiency
3. Leiden factor
4. All

Correct answer: 4. All

Explanation: Ans. is 'a' i.e., Protein - C deficiency; 'b' i.e., Protein - S deficiency; 'c' i.e., Leiden factor